Enthesopathy is commonly found in -
1. Rheumatoid arthritis
2. Rheumatic fever
3. Ankylosing spondylitis
4. Osteoarthritis

Correct answer: 3. Ankylosing spondylitis

Explanation: Enthesopathy

Enthesopathy is any abnormality of the site where the tendons and ligaments join the bone.
Abnormalities that can occur include inflammation (enthesitis) and calcification.
Important causes are:-


Ankylosing spondylitis      
Plantar fascitis
Other seronegative spondyloarthropaties  
 Golfer's elbow
Reiter's syndrome          
Postman's heel
Tennis elbow    
Iliotibial band syndrome